Cafe coronary commonly occurs when a person is -
1. Intoxicated
2. Eating fatty food
3. Eating meat
4. Eating fish

Correct answer: 1. Intoxicated

Explanation: Cafe coronary is seen in healthy but grossly intoxicated person who begins a meal suddenly turns blue, coughs violently, collapses & dies. The clinical signs of choking is absent, because high blood alcohol content anaesthetises the gag reflex. Reff: The synopsis of forensic medicine & Toxicology(Dr.K.S.Narayan Reddy) 28th edition pg: 189